Subcutaneous emphysema may be found in the following conditions:
1. Tracheostomy
2. Hemilich maneuver
3. Chest injury
4. All of the above

Correct answer: 4. All of the above

Explanation: * Posterior tracheal wall laceration is responsible for emphysema after Percutaneous Tracheostomy. After perforation of the posterior trachea wall, the pleural space can be reached easily. This may result in a pneumothorax. * Trauma to chest including after a vigorous Hemilich maneuver can lead to subcutaneous emphysema.